About arterioles true is
1. Resistance
2. Exchange
3. Reservoir
4. Pressure

Correct answer: 1. Resistance

Explanation: The small arteries and arterioles are referred to as resistance vessels because they are the principal site of the peripheral resistanceRef: Ganong's Review of Medical Physiology Twenty-Third Edition Page No:543